HbH is characterized by:
1. Deletion of three alpha chain genes
2. Deletion of three alpha chains and one beta chain genes
3. Deletion of two alpha and two beta chain genes
4. Deletion of four alpha chain genes

Correct answer: 1. Deletion of three alpha chain genes

Explanation: Ans. A. Deletion of three alpha chain genesAlpha-ThalassemiaSilent carrier state1 gene deletion-aaaa thalassemia trait2 gene deletion-a-aHbH disease3 gene deletion---aHydrops fetalis4 gene deletion----